Cut surface of lungs in Silicosis shows?
1. Pleural thickening
2. Hard collagenous scars
3. Nodules
4. All of the above

Correct answer: 4. All of the above

Explanation: ANSWER: (D) All of the aboveREF: Robbin's 7th ed p. 734Cut surface of lung in silicosis shows:Tiny barely palpable nodules in early stageHard collagenous scars later onPleural thickening